Not a part of "Triple therapy" immunosuppression for post-renal transplant patient is:
1. Prednisone
2. Cyclosporine
3. Azathioprine
4. Belatacept

Correct answer: 4. Belatacept

Explanation: Ans. D. BelataceptBelatacept is not part of "Triple therapy" immunosuppression for post-renal transplant patient.* The most frequently used combination is triple therapy with- Prednisone- Calcineurin inhibitor (Tacrolimus - 1st line or Cyclosporine)- Antimetabolite (Mycophenolate mofetil or Azathioprine)* Mammalian TOR (mTOR) inhibitors can replace one of the last two agents.Note: More recently, the U.S. Food and Drug Administration (FDA) approved a new co-stimulatory blocking antibody (CD80 & CD86), belatacept, as a new strategy to prevent long-term calcineurin inhibitor toxicity. It is indicated for prophylaxis of organ rejection in patients who are EBV seropositive and receiving a kidney transplant.